Wermer syndrome is -
1. MEN 1
2. MEN HA
3. MEN IIB
4. AIP

Correct answer: 1. MEN 1

Explanation: Ans. is 'a' i.e., MEN 1